Gail Model is for risk assessment of
1. Ovarian
2. Prostate
3. Breast
4. Lung

Correct answer: 3. Breast

Explanation: Ans. (c) CA. Breast(Ref. Schwartz 10th edition Page 512)Common models used in risk assessment of cancer breast:* Gail model* Claus Model* BRCAPRO model* Tyrer-Cuzick model* Neither the Gail model nor the Claus model accounts for the risk associated with mutations in the breast cancer susceptibility genes BRCA1 and BRCA2.* Other models utilize the family history and BRCA1 and 2 mutations.